Increased PT and Normal aPTT are found in which of the following?
1. Von Willibrand's disease
2. Factor 7 deficiency
3. Factor 8 deficiency
4. Thrombin deficiency

Correct answer: 2. Factor 7 deficiency

Explanation: The prothrombin time (PT) is prolonged in factor VII (FVII) deficiency and the international normalized ratio (INR) is elevated. The activated partial thromboplastin time (aPTT) is within the reference range in isolated factor VII deficiency. Prothrombin time (PT) is within reference range in von Willebrand disease. The aPTT will be outside of the reference range. A prolonged aPTT and a normal PT can be seen in factor 8 deficiency. Prothrombin (Factor II) is the precursor form of thrombin. PT and aPTT are prolonged in patients with factor II deficiency.